What should the initial management of atypical hyperplasia be?
1. Cyclical progestogens
2. Continuous progestogens
3. MIRENA
4. Hysterectomy

Correct answer: 4. Hysterectomy

Explanation: Women with atypical hyperplasia should undergo a total hysterectomy because of the risk of underlying malignancy or progression to cancer.A laparoscopic approach to total hysterectomy is preferable to an abdominal approach as it is associated with a shorter hospital stay, less postoperative pain and quicker recovery.Reference: RCOG Guidelines on endometrial hyperplasia